Doctors role in noting dying declaration is to ?
1. Ascertain compos mentis
2. Call the magistrate
3. Elicit information by leading questions
4. Ask the investiating medial officer to be there

Correct answer: 1. Ascertain compos mentis

Explanation: Ans. is 'a' i.e., Asceain compos mentis Dying declaration It is the written or verbal statement made by a person likely to die because of some unnatural act done on his body, narating the circumstances or the conditions responsible for his present state of health or the cause and manner of likely unnatural death. Ideally dying declaration should be recorded by executive or honorary magistrate, but can also be recorded by doctor, village head man, police or any other person, if there is no time to call a magistrate. Doctor has to certify the patient to be compos mentis (sound mind). It is recorded in presence of two disinterested witnesses. Relatives and police officers are not allowed to be present. No oath is administered. It carries less weight than dying deposition as no cross-examination is possible. If the patient does not die after the recording of declaration, the dying declaration loses its importance sice now he can be called to the court and his evidence can be recorded after cross-examination.